For obesity BMI should be -
1. >=20
2. >=50
3. >=40
4. >=30

Correct answer: 4. >=30

Explanation: Ref-Park's textbook of preventive and social medicine 24th edition. .